All are useful in management of severe clostridium difficle-infection, except
1. Vancomycin oral
2. Neomycin enema
3. IV metronidazole
4. Tigecycline

Correct answer: 2. Neomycin enema

Explanation: Answer- B. Neomycin enemaOral voncomycin plus intravenous metronidazole is the treatment of choice for patients with severe und complicated clostrdium dilificle infection (CDI)